Glutathione is a protein which contain how many amino acids
1. 2
2. 3
3. 4
4. 5

Correct answer: 2. 3

Explanation: Glutathione is gamma glutamyl cysteinyl glycine (contain 3 amino acid derivaties)